The most aggressive and destructive cyst is
1. Periapical cyst
2. Dentigerous cyst
3. Globulornaxillary cyst
4. Nasopalatine cyst

Correct answer: 2. Dentigerous cyst